The DNA segment from which the primary mRNA transcript is copied or transcribed is called:-
1. Coding strand
2. Initiator methionine domain
3. Template strand
4. Translation unit

Correct answer: 3. Template strand

Explanation: DNA segment from which the primary mRNA transcript is copied or transcribed is called as Template strand Template strand : Strand which is being acted upon by RNA polymerase. mRNA produced resembles the sequence of the opposite strand (except U in place of T). The opposite strand is known as coding, sense or plus strand.